02 (oxygen) dissociation curve is shifted to right in the following except
1. Rise in temperature
2. Hypercapnia
3. Riased 2, 3 DPG level
4. Metabolic alkalosis

Correct answer: 4. Metabolic alkalosis

Explanation: When the free level falls as a result of addition of alkali, or more commonly, the removal of large amounts of acid (eg, following vomiting), metabolic alkalosis results. In uncompensated metabolic alkalosis the pH rises along the isobar line.Rise in pH shifts the curve to the leftA rise in temperature or a fall in pH shifts the curve to the rightRetention of CO2 in the body is called as hypercapnia. when the PCO2 rises, the curve shifts to the right An increase in the concentration of 2,3BPG shifts the reaction to the rightRef: Ganong's Review of Medical Physiology Twenty-Third Edition Page No:611